Which of the following can be used to calculate heart rate from an ECG?
1. Number of large squares in one R-R interval/300
2. 300/ (Number of large squares in one Q-T interval)
3. 300/ (Number of large squares in one R-R interval)
4. (Number of large squares in one Q-T interval) / 300

Correct answer: 3. 300/ (Number of large squares in one R-R interval)

Explanation: For calculating heart rate: HR-300/ Number of large squares(0.20 secs) in one R-R interval HR-1500/no of small squares (0.04 secs) in one R-R interval